Reinke's layer seen in:
1. Vocal cord
2. Tympanic membrane
3. Cochlea
4. Reissner's membrane

Correct answer: 1. Vocal cord

Explanation: Reinke's edema is the build-up of a gelatinous substance in the layer right underneath the surface lining of the vocal folds (superficial lamina propria orReinke's space). It may occur in one or both vocal folds. The superficial lamina propria, or Reinke's space, is not an empty space.